Which of the following nerve carries fibres from all the roots of brachial plexus ?
1. Axillary
2. Ulnar
3. Median
4. Musculocutaneous

Correct answer: 3. Median

Explanation: Ans. is 'c' i.e., Median Only two nerves carry fibres from all the roots of brachial plexus, i.e. C5 to T, :? 1. Median nerve (C5- TI) Lateral root (C5 - C7) Medial root (C8 Ti ) 2. Radial nerve (C5 - T,)